Non-myelinated  axons  differs  from myelinated in that they:
1. Are more excitable
2. Lack node of Ranvier
3. Are capable of regeneration
4. Are not associated with Schwann cells

Correct answer: 2. Lack node of Ranvier

Explanation: Remember, two types of Schwann cell: Myelinating and nonmyelinating types.
In the PNS, unmyelinated axons are surrounded by Schwann cells (nonmyelinating), whereas myelinated axons are ensheathed by multiple wrapped membranes of Schwann cells, much as the oligodendroglia, that ensheath central axons.